Final product in anaerobic glycolysis is :
1. a) Pyruvate
2. b) Acetyl CoA
3. c) Lactate
4. d) Oxaloacetate

Correct answer: 3. c) Lactate

Explanation: the end product for anaerobic glycolysis is lactate